On medical check up of a Punjabi student following findings were seen Hb of 9.9gm/d1, RBC count of 5.1 million, MCV of 62.5 fl and RDW of 13.51%. What is the most probable diagnosis ?
1. HbD
2. Thalassemia trait
3. Iron deficiency anemia
4. Anemia of chronic disease

Correct answer: 2. Thalassemia trait

Explanation: Answer- B. Thalassemia traitNormal RDW with low MCV is seen in-- Anemia of chronic diseaseHeterozygous thalassemia (Thalassemia trait)Hemoglobin E trait.